Rule of Hasse is used to determine:
1. Age of fetus
2. Height of an adult
3. Race of a person
4. Identification

Correct answer: 1. Age of fetus

Explanation: Ans. Age of fetus